Magnitude of action potential in neuron, is determined by:
1. Na+
2. Mg2+
3. K+
4. Ca2+

Correct answer: 1. Na+

Explanation: Ans: A (Na+) Ref: Pal GK. Nerve. In: Textbook of Medical Physiology. Ahuja Publishing House. 2007; 18: 158.Explanation:Depolarization (upstroke) phase of action potential in a neuron is due to Na+ influxRepolarization is due to K+ effluxMg2+, Ca2+ are not directly involved in generation of action potential in nerve